Special feature of glargine insulin is ?
1. It produces a smooth peakless effect
2. It is not suitable for once daily administration
3. It remains souble at pH 7
4. It can control meal time hyperglycemia

Correct answer: 1. It produces a smooth peakless effect

Explanation: Ans. is 'a' i.e., It produces a smooth peakless effect InsuinGlargine It is long acting biosynthetic insulin. It remains soluble at pH 4 of the formulation and precipitates at neutral pH on subcutaneous administration. Onset of action is delayed. It produces a smooth peakless effect. It is suitable for once daily administration. Low incidence of night time hypoglycemia. It does not control meal time yperglycemia.